Traces of which of the following antibiotics can be found in the gingival fluid after administration:
1. Tetracycline
2. Lincomycin
3. Clindamycin
4. Penicillin G

Correct answer: 1. Tetracycline